A 20 year old patient presented with early pregnancy for Medical termination of Pregnancy (MTP) in day care facility. What will be the anaesthetic induction agent of choice ?
1. Thiopentone
2. Ketamine
3. Propofol
4. Diazepam

Correct answer: 3. Propofol

Explanation: Propofol is considered the anaesthesia of choice for day care surgery (out patient surgery) as induction is smooth & pleasant and recovery is rapid.